Relapse is seen in which malaria?1. P. vivax2. P. falciparum3. P. malariae4. P. ovale
1. 1 and 2
2. 2 and 3
3. 3 and 4
4. 1 and 4

Correct answer: 4. 1 and 4

Explanation: ANS. D P. falciparumP. vivaxP. ovaleP malariaeTissue schizogony5-6 days8 days9 days13 daysErythrocytic phase48 hours48 hours (benign tertain)49-50 hours (ovale tertian)72 hours (quartan)Red cells affectedAllReticulocytesReticulocytesMature RBCsHypnozoitesNoYesYesNo, but blood forms can persist up to 30 yearsIncubation period in humans12 days13-17 days13-17 days28-30 daysPigmentationMaurer'sSchuffner'sJames'Ziemann's